Anisometropia means –
1. Both the eye are not oriented in the same parallel axis
2. There is high difference of refractive errors between the two eye
3. Subluxation of one of the eye
4. Difference in image sizes

Correct answer: 2. There is high difference of refractive errors between the two eye

Explanation: Anisometropia is a term used when dioptric power of both eyes are not the same.